Skip granulomatous lesions are seen in :
1. Ulcerative colitis
2. Crohn's disease
3. Whipple's disease
4. Reiter's disease

Correct answer: 2. Crohn's disease

Explanation: Answer is B (Crohn's Disease) Skip lesions are characteristic of Crohn's Disease